Among the following muscles, the one that is found in the first layer of the sole is:
1. Adductor hallucis
2. Flexor digitorum brevis
3. Flexor digiti minimi brevis
4. Flexor hallucis longus

Correct answer: 2. Flexor digitorum brevis

Explanation: Flexor digitorum brevis